Most common valvular lesion after myocardial infarction is:
1. MR
2. AR
3. AS
4. Septemberal defect

Correct answer: 1. MR

Explanation: Ans. A: MR MR is a common complication of acute Ml that results from local and global LV remodeling and that is an independent predictor of heart failure and death. MR typically occurs 7-10 days after an AMI, though this onset may vary according to the mechanism of MR. Papillary muscle rupture resulting in MR occurs within 1-14 days. Mild-to-moderate MR is often clinically silent and detected on doppler echocardiography performed during the early phase of AMI. In this case, MR rarely causes hemodynamic compromise. Severe acute MR that results from the rupture of papillary muscles or chordae tendineae results in abrupt hemodynamic deterioration with cardiogenic shock. Rapid diagnosis, hemodynamic stabilization, and prompt surgical intervention are needed because acute severe MR is associated with a high mortality rate.